Compound that joints glycolysis with glycogenesis and glycogenolysis is
1. Glucose 1, 6 biphosphate
2. Glucose 1 phosphate
3. Glucose 6 phosphate
4. Fructose 1, 6 biphosphate

Correct answer: 3. Glucose 6 phosphate

Explanation: Repeated question